Which type of cellsare not found in stomach:
1. Chief cells
2. Parietal cells
3. Argentaffin cells
4. Goblet cells

Correct answer: 4. Goblet cells

Explanation: Goblet cells